In Conn's disease, there is an excess of:
1. Adrenaline
2. Aldosterone
3. Cortisol
4. Noradrenaline

Correct answer: 2. Aldosterone